Ascaris lumbricoides causes deficiency of?
1. Iron
2. Vit B 12
3. Folic acid
4. Vitamin A

Correct answer: 4. Vitamin A

Explanation: ANSWER: (D) Vitamin AREF: With text"Ascaris infestation may lead to malnutrition. Apart from anorexia leading to poor intake, studies have shown that lactose indigestion and intolerance also occur, and the absorption of vitamin A is impaired. All these leads to PEM, Iron deficiency anemia and vitamin A deficiency" (REF: Surgical Diseases in Tropical Countries by Suneet Sood Page 70)Diarrhea may be associated with Giardia and Ascaris, both of which reduce vitamin A absorption, in some instances by as much as 70% (REF: Vitamin A deficiency: health, survival, and vision - Alfred Sommer, Keith P. West Page 197)"Kwashiorkor has long been associated with Ascaris infection and it is known that ascariasis also contributes to vitamin A and possibly vitamin C deficiency" (REF: Imaging of tropical diseases: with epidemiological, pathological and clinical correlation: Volume 2 -Philip E. S. Palmer, Maurice Merrick Reeder Page 20)